Earliest sign of fetal death -
1. Spalding sign
2. Robert's sign
3. Ball sign
4. Adipocere formation

Correct answer: 2. Robert's sign

Explanation: Ans. is 'b' i.e., Robert's sign Radiological signs of IUFDSignInterval (After Death)Robert sign (gas in great vessels)12 hSpalding sign (overlapping of skull bones)1 weekBlair-Hartley/ Ball sign (hyperflexion/ hyperextension of spine with overcrowding of ribs3-4 weeks